All of the following can be routes of opioid administration except:
1. Intravenous
2. Intramuscular
3. Oral
4. Intradermal

Correct answer: 4. Intradermal

Explanation: Opioid can be given intravenous, intramuscular, transdermal, oral , intrathecal , epidural . Opioid patch can be applied which is transdermal route.